Parvovirus causes -
1. Erythema infectiosum
2. Exanthema subitum
3. Roseola infantum
4. Sixth disease

Correct answer: 1. Erythema infectiosum

Explanation: parvovirus B19 causes erythema infectiosum REF:ANATHANARAYANAN MICROBIOLOGY NINTH EDITION PAGE.554